In philadelphia chromosome the defect is in ?
1. Short arm of chromosome 22
2. Long arm of chromosome 22
3. Short arm of chromosome 9
4. Chromosome 21

Correct answer: 2. Long arm of chromosome 22

Explanation: Ans. is 'b' i.e., Long arm of chromosome 22